Millard Gubler syndrome includes the following except
1. 5th nerve palsy
2. 6th nerve palsy
3. 7th nerve palsy
4. Contralateral hemiparesis

Correct answer: 1. 5th nerve palsy

Explanation: Millard-Gubler syndrome (MGS) is one of the classical brainstem-crossed syndromes caused due to a unilateral lesion in ventral pons, manifesting as ipsilateral palsy of CN VI and VII with contralateral hemiplegia Ref Harrison20th edition pg 2234